Hypoglycemia is a recognized feature of all of the following conditions, except :
1. Uremia
2. Acromegaly
3. Addison's disease
4. Hepatocellular failure

Correct answer: 2. Acromegaly

Explanation: Answer is B (Acromegaly) Acromegaly is associated with Hyperglycemia and not Hypoglycemia. Selected causes of hypoglycemia A. Hormone deficiencies: Hypopituitarism Q Adrenal insufficiency (addison's disease) Q Catecholamine deficiencyQ Glucagon deficiency Q B. Enzyme defects: Glucose-6-phosphatase Q C. Liver disease: Hepatic congestion Q Severe hepatitis Q Cirrhosis Q Hypothermia Q